Corneal dystrophies are:
1. Primary and unilateral
2. Primary and bilateral
3. Primary, bilateral, with systemic disease
4. Primary unilateral without systemic disease

Correct answer: 2. Primary and bilateral

Explanation: Corneal dystrophies are primary, bilateral and inherited disorder manifesting occasionally at birth but more usually during first or second decade and sometimes even later in life. Corneal dystrophies are of 3 types: anterior dystrophy, stromal dystrophy and posterior dystrophy.